Oseltamivir dose is -
1. 75 mg BD x 5 days orally
2. 75mg BD x 5 days i.v.
3. 200 mg BD x 5 days orally
4. 200 mg BD x 5 days i.v.

Correct answer: 1. 75 mg BD x 5 days orally

Explanation: Ans. is 'a' i.e. 75 mg BD x 5 days orallyRifampcino Oseltamivir and Zanamivir act as neuraminidase inhibitors and prevent the virion release by causing clumping of mature virions. These drugs are effective against both Influenza A and Influenza B.o Oseltamivir is drug of choice for bird flu (H5N1) as well as swine flu (H1N1).Routes of administration:o Oseltamivir - Orally (S/E - Nausea and vomiting)o Zanamivir - Inhalation (S/E - Bronchospasm)o Peramivir - Intravenous (LV. form of Zanamivir)